In individuals who donate one lobe of the liver for transplantation, the remaining organ soon grows back to its original size. This is an example of which adaptive mechanism:
1. Hypertrophy
2. Atrophy
3. Hyperplasia
4. Metaplasia

Correct answer: 3. Hyperplasia

Explanation: Ans. (c) HyperplasiaRef: Robbin's pathology 9th ed. 136* In individuals who donate one lobe of the liver for transplantation, the remaining cells proliferate so that the organ soon grows back to its original size. This is a classic example of compensatory hyperplasia.